Gradenigo's syndrome characterised by all except:
1. Retroorbital pain
2. Profuse discharge from the ear
3. VII nerve palsy
4. Diplopia

Correct answer: 3. VII nerve palsy

Explanation: Gradenigo's syndrome, also called Gradenigo-Lannois syndrome, is a complication of otitis media and mastoiditis involving the apex of the petrous temporal bone. Symptoms Components of the syndrome include: retroorbital pain due to pain in the area supplied by the ophthalmic branch of the trigeminal nerve (fifth cranial nerve), abducens nerve palsy (sixth cranial nerve) otitis media Other symptoms can include photophobia, excessive lacrimation, fever, and reduced corneal sensitivity. The syndrome is classically caused by the spread of an infection into the petrous apex of the temporal bone.